Bone can be induced to grow at surgically created sites by the method called
1. Osteogenesis
2. Distraction osteogenesis
3. Bone wax
4. Green stick fracture

Correct answer: 2. Distraction osteogenesis

Explanation: Distraction osteogenesis: 

Distraction osteogenesis is the method of inducing bone to grow at surgically created sites.
Russian Surgeon Ilizarov discovered in 1950's that if cuts were made through the cortex of a long bone of the limbs, the arm or leg then could be lengthened by tension to separate bony segments.
Currently it is believed that best results are obtained if this type of distraction starts after a few days of initial healing and callus formation and if the segments are separated at a rate of 0.5 — 1.5 mm/ day.
Also this technique is employed for Lengthening of mandible and inducing maxillary growth by separating cranial and facial bone at their sutures.